Socratic method of education consists of all except
1. Panel discussion
2. Group discussion
3. Seminar
4. Lecture

Correct answer: 4. Lecture